Thiazide diuretics can be used for the treatment of all of these conditions EXCEPT :
1. Idiopathic hypercalciuria with nephrocalcinosis
2. Hyperlipidemia
3. Congestive Heart Failure
4. Hypertension

Correct answer: 2. Hyperlipidemia

Explanation: Thiazides cause hyperlipidemia as an adverse effect and thus cannot be used to treat this condition.
Indications of thiazides: